Which of the following glycoprotein transported in plasma in iron metabolism:
1. Spectrin
2. Transferrins
3. Ferritin
4. Haemosiderin

Correct answer: 2. Transferrins

Explanation: (Transferrin): Ref: 644-R, 369-HM) (436- Basic pathology 8th)* Iron in transported in plasma by an iron-binding glycoprotein called transferrin. Which is synthesized in the liver. In normal individuals transferrin is a bout 33% saturated with iron. Yielding serum levels that average 120 mg/dl is man and 100m/dl in woman.INTERNAL IRON CYCLE:* The major function of plasma transferrin is to deliver iron to cells including erythroid precursors, where iron is required for hemoglobin synthesis, Immature red cells posses high affinity receptors for transferring and iron is transported into erythroblasts by receptor mediated endocytosis.* Ferritin and haemosiderin are storage forms of excess iron (30%)